Sister Mary Joseph nodule is most commonly seen with:
1. Ovarian cancer
2. Stomach cancer
3. Colon cancer
4. Pancreatic cancer

Correct answer: 2. Stomach cancer

Explanation: Ans. B: Stomach cancer Gastric tumour may spread the abdominal cavity to the umbilicus (Sister Joseph's nodule) Sister May Joseph's nodule: Periumbilical nodule/ hard mass Represents metastatin involvement of the paraumbilical nodes from intrapelvic or intraabdominal malignancies Seen with: - Stomach - Large bowel - Ovary - Pancreatic tumour Indicates poor prognosis